Which vitamin deficiency is responsible for neonatal seizure:
1. Pyridoxine
2. Vitamin C
3. Thiamine
4. Cobalanum

Correct answer: 1. Pyridoxine

Explanation: a. Pyridoxine(Ref: Nelson's 20/e p 2849-2853)Pyridoxine deficiency is one of the causes of refractory seizures in the neonatal period & infancy.